Cryosurgery is effective in all except :
1. Chronic cervicitis
2. Squamous intraepithelial lesion
3. Condyloma accuminata
4. treatment of Carcinoma cervix

Correct answer: 4. treatment of Carcinoma cervix

Explanation: Indications of cryosurgery Cervical ectopy Benign cervical lesions: CIN, condyloma accuminata,leukoplakia Condyloma accuminata of vulva and VIN not more than2cm VAIN,vault granulation following hysterectomy Palliative measure to arrest bleeding in carcinoma cervix D.C.DUTTA'S TEXTBOOK OF GYNAECOLOGY, Pg no:591,6th edition